Implantation occurs at -
1. 2-3 days
2. 6-7 days
3. 15-20 days
4. 20-25 days

Correct answer: 2. 6-7 days

Explanation: Ans. is 'b' i.e., 6-7 days Age (Days)SomitesCharacteristics0-1--Fertilized uncteaved zygote2-3--Segmentation=two cells to morula4-5--Unimplanted, free-floating blastocyst6-7--Implantation8-11--Progression into endometrium12-14--Embryonic disc, villi, and yolk sac appear15-16--Primitive streak appears17-18--Neural folds elevate19-201-3Head fold appears21-234-12Neural fold fusion begins, heart begins to beat23-2513-20Two branchial arches, foregut, hindgut, optic evagination21-2921-29Arm buds appear, neural tube closed, optic cup28-30 (complete no.)40Leg buds apear, heart chambers. lung buds, metanephric bud30-32--Lens invagination, septum primum, gonadal ridge32-34--Lens vesicle closed, external ears becoming recognizable35-36--Eye pigment appears, hand plate, hypophysis, liver37-40--Finger rays, foot plate, ear defined, somites less apparent superficially40-42--Eyelid, finger rays notched, toe rays, nerve plexuses42-44--Head more erect, limbs extend forward, muscles developing, duodenum closed45-46--Fingers, scalp plexus present, optic nerve, septum secundum4648--Hands meet over heart region, corpus striatum, thalamus, heart valves48-50--Fingers overlap those of opposite hand, duodenum reopened50-52--Head erect and rounded, scalp plexus reaching head vertex, ossification beginso Contact of blastocyst with endometrium occurs at the time of implantation,o Implantation occurs at around 6 -7 days.